All of the following species of borrelia are associated with tick borne relapsing fever except?
1. Borrelia recurrentis
2. Borrelia hermsii
3. Borrelia turicatae
4. None of the above

Correct answer: 1. Borrelia recurrentis